In a seriously ill patient, addition of amino acids in the diet results in a positive nitrogen balance. The mechanism for this is
1. Increased absorption of amino acids from the intestine
2. Enhanced rates of gluconeogenesis
3. Increased secretion of insulin
4. Increased Growth hormone secretion

Correct answer: 3. Increased secretion of insulin

Explanation: Glucose, mannose, aminoacids (such as leucine, arginine, others) and β ketoacids such as acetoacetate (derived from fat catabolism) stimulate insulin secretin and have protein sparing effect.
Insulin has anabolic effect on metabolism. It decreases protein catabolism and fat catabolism for energy production and increases aminoacid uptake and protein synthesis (positive nitrogen balance).